Which of the following is not a feature of Papillary carcinoma of thyroid?
1. Rearrangement of RET gene
2. Rearrangement of NTRK1 gene
3. Mutation of BRAF gene
4. Mutation of RAS gene

Correct answer: 4. Mutation of RAS gene

Explanation: Most papillary carcinomas have gain-of-function mutations or rearrangements involving: RET gene NTRK1 receptor tyrosine kinases Serine/threonine kinase BRAF, which is component of MAPK pathway. RAS mutations are seen in follicular carcinoma of thyroid.